Most common occular foreign body is :
1. Chiesel and hammer
2. Glass
3. Plastics
4. Stone

Correct answer: 1. Chiesel and hammer

Explanation: A i.e. Chisel and hammer